True positivity is indicated by -
1. Sensitivity
2. Specificity
3. Predictive value
4. Validity

Correct answer: 1. Sensitivity